Zone of carcinoma prostate is:
1. Central zone
2. Periurethral zone
3. Peripheral zone
4. Transformation zone

Correct answer: 3. Peripheral zone

Explanation: Ans. c (Peripheral zone). (Ref. LB, 24th/pg.380)CARCINOMA PROSTATE# It usually originates in peripheral zone of prostate, so prostatectomy for benign enlargement confers no protection for subsequent cancer.# There are 3 zones of prostate:- Central zone (10% of prostatic cancer occur here; zone of BHP)- Transitional zone (20% of prostatic cancer occur here)- Peripheral (70% of prostatic cancer occur here)Fig. 1.11 Anatomical division of lobes of prostate is of less clinical significance as compared to zonal anatomy. The peripheral zone is the area from which most prostate cancers arise. The 'adenomatous' zone comprises the central and transitional zones.# The various lobes are median lobe, anterior lobe, posterior lobe and two lateral lobes.# The DRE and PSA levels (normal 4 ng/mL; significant above 10 ng/mL) are good for screening.# However TRUS is presently the best investigation to diagnose and assess carcinoma prostate.# MRI with phased array and endorectal coils is presently the investigation of choice for staging of carcinoma prostate.# CT scan has some role in advanced stages.# In BHP, characteristically median lobe is enlarged^# BPH is not a premalignant condition.# The most important use of TRUS is for guided biopsies of prostate.